Which of the following describes stage 3 Limb ischemia as per Fontaine classification
1. Well compensated intermittent claudication
2. Poorly compensated intermittent claudication
3. Rest pain
4. Ischemic ulcer

Correct answer: 3. Rest pain

Explanation: Fontaine classification of limb ischaemia :

Stage 1 : No clinical symptoms.
Stage 2 : Intermittent claudication.

2a : Well - compensated  - Can walk > 200 metres.
2b : Poorly compensated - Walk only < 200 metres.

Stage 3 : Rest pain.
Stage 4 : Gangrene, ischaemic ulcer.